Drug of choice for Treponema Pallidum is?
1. Penicillin G
2. Tetracycline
3. Azithromycin
4. Doxycycline

Correct answer: 1. Penicillin G

Explanation: ANSWER: (A) Penicillin GREF: Microbiology, Volume 2; Volume 9, Part 2 edited by E. Edward Bittar, Neville Bittar p; 241See APPENDIX-65 for "SEXUALLY TRANSMITTED DISEASES""Parenteral penicillin G remains the treatment of choice for syphilis (Treponema pallidu and resistance to penicillin has not been reported"